Which of the following traditional medicines is effective in the treatment of heart failure
1. Terminalia Arjuna
2. Neem bark extract
3. St. John's wort
4. Gingkoba biloba

Correct answer: 1. Terminalia Arjuna

Explanation: Ans. a. Terminalia Arjuna Terminalia Arjuna (An ayurvedic cardioprotective botanical) Although many Ayurvedic plants have shown to help coronary artery disease, Arjuna (Terminalia Arjuna) by far seems to be the best plant for heart health. Terminalia arjuna is a traditional ayurvedic plant containing tannins, triterpenoid saponins (arjungenin, arjunglucosides), flavonoids (arjunon, arjonolone), phytosterols, oligomeric proanthocyanidins (OPC's), calcium, magnesium, zinc, and copper.